Annexin V on non-permeable cell is indicative of.?
1. A. Apoptosis
2. B. Necrosis
3. C. Cell entering replication phase
4. D. Cell cycle arrest

Correct answer: 1. A. Apoptosis

Explanation: Apoptotic cells express phospatidylserine in the outer layers of there plasma membrane. This phospholipid moves out from the inner layers where it is recognized by a number of receptors on the phagocytes .These lipids are also detected by binding of a protein called Annexin V.